Which of the following is produced by Argentaffi- noma of ileum?
1. G.A.B.A.
2. Serotonin
3. Epinephrine
4. Nor-epinephrine

Correct answer: 2. Serotonin

Explanation: Ans. 'b' i.e. Serotonin o Argentaffin cells of the carcinoid produce serotonin.o The metabolites of serotonin are 5HIAA and are used in the diagnosis of carcinoid syndrome.